Which is characteristic of supragingival plaque and not of subgingival plaque in humans?
1. Motile bacteria are predominant
2. Spirochetes are evident microscopically
3. Gram negative bacteria are predominant
4. Bacterial composition is altered by dietary sugar composition

Correct answer: 4. Bacterial composition is altered by dietary sugar composition